Characteristic finding of tuberculosis in Computed Tomography (CT) is:
1. Exudate's seen in basal cistern
2. Noncommunicating hydrocephaluos
3. Calcification most commonly seen in insula umbellium
4. Ventriculitis is a common finding

Correct answer: 1. Exudate's seen in basal cistern

Explanation: In Tubercular Meningitis basal cisterns are most frequently affected, although often sylvian cisterns and other subarachnoid spaces may be involved. The Basal Cisterns are obscured by presence of inflammatory tissue exudate. Hydrocephalus is communicating and is usually present, i.e. it does not improve even if Anti tubercular treatment (ATT) is given. Calcification is commonly seen in the meninges at the base of the brain. Ventriculitis may be seen, but it is not common. Ref: Pediatric Imaging By Berry, Page 373 ; Cranial MRI and CT By Seungho Howard Lee, Krishna Rao, Zimmerman, 4th Edition ; Harrison's Principle of Internal Medicine, 16th Edition, Page 958